What is the commonest form of plague?
1. Bubonic plague
2. Pneumonic plague
3. Septicaemic plague
4. Hemorrhagic plague

Correct answer: 1. Bubonic plague

Explanation: The commonest form of plague is bubonic plague. Pneumonic plague occurs in less than 5% of patients. Septicaemic plague occurs rarely except for accidental laboratory infections. Ref: Park 21st edition, page 270.